Anti progesterone drug is :
1. Cyproterone
2. Mifepristone
3. Spironolactone
4. Tamoxifen

Correct answer: 2. Mifepristone

Explanation: Mifepristone